Prior to discharge of a patient of H. influenza meningitis the essential investigation to be done is –
1. ABER
2. EEG
3. Developmental screening test
4. BOG

Correct answer: 1. ABER

Explanation: After H. influenza meningitis sensor neural hearing loss occurs in 5-10% of patients during long term follow up.
Therefore Auditory rain Stem Evoked Response is done to check the peripheral auditory system.